Rotator interval is between:
1. Supraspinatus and teres minor
2. Teres major and teres minor
3. Supraspinatus and subscapularis
4. Subscapularis and infraspinatus

Correct answer: 3. Supraspinatus and subscapularis

Explanation: (c) Supraspinatus and subscapularis- Rotator interval is a triangular portion of shoulder capsule which lies between supraspinatus and subscapularis tendon and coracohumeral ligament passes through it.